The most common site for lymphagiosarcoma is
1. Liver
2. Spleen
3. Post mastectomy arm
4. Retroperitoneum

Correct answer: 3. Post mastectomy arm

Explanation: Ans. (c) Post mastectomy arm(Ref: Cancer 1948; 1:64-81)*Lymphangiosarcoma is a misnomer because this malignancy seems to arise from blood vessels instead of lymphatic vessels.*Most commonly, this tumor is a result of lymphedema induced by radical mastectomy*Stewart-Treves syndrome is a rare, cutaneous angiosarcoma that develops in long-standing chronic lymphedema.